Increased level of lipoprotein(a) predisposes to:
1. Liver cirrhosis
2. Atherosclerosis
3. Nephrotic syndrome
4. Pancreatitis

Correct answer: 2. Atherosclerosis

Explanation: B i.e. AtherosclerosisLipoprotein (a) / Lipopein little (a) / Lp(a) is associated with coronary heart disease due to atherosclerosis plus thrombosis d/t inhibition of fibrinolysisQ.